Dean's technique refers to a form of
1. Radicular surgery
2. Cyst removal
3. Intraseptal alveoplasty
4. Mucoperiosteal flap

Correct answer: 3. Intraseptal alveoplasty